Which of the following is selective Cox-2 inibitor?
1. Celcoxib
2. Etoricoxib
3. Parecoxib
4. All of the above

Correct answer: 4. All of the above